Fanconi's anemia is a:
1. Constitutional anemia
2. Hemolytic anemia
3. Iron deficiency anemia
4. Auto-immune anemia

Correct answer: 1. Constitutional anemia

Explanation: a. Constitutional anemia(Ref: Nelson's 20/e p 2390-2392, Ghai 8/e p 349-351)Constitutional pancytopenia is defined as decreased marrow production of the 3 major hematopoietic lineages on an inherited basis, resulting in anemia, neutropenia and thrombocytopenia. Important causes are:Fanconi anemiaAmegakaryocytic thrombocytopeniaShwachman-Diamond syndromeDown syndromeDyskeratosis congenitaNoonan syndrome